Distressing Complication after modified radical mastectomy ?
1. Lymphedema
2. Axillary vein thrombosis
3. Seroma
4. Death

Correct answer: 1. Lymphedema

Explanation: Modified radical mastoidectomy can be done by Pateys operation,Scanlon s operation. Here axilary lymphnodes are removed. Complications are lymphedema andlymphangiosarcoma of the limb. Other complications are injury of axillary vein, seroma, shoulder dysfunction,winged scapula,fat necrosis,lymphedema,axillary hyperaesthesia SRB's Manual of Surgery.Edition -5. Pg no:548,549